Which of the following is the most troublesome source of bleeding during a radical retropubic prostatectomy?
1. Dorsal venous complex
2. Inferior vesical pedicle
3. Superior vesical pedicle
4. Seminal vesicular artery

Correct answer: 1. Dorsal venous complex

Explanation: Main source of potential bleeding during prostatectomy is the dorsal vein complex that passes over the prostate gland. Ref: Prostate Cancer: Science and Clinical Practice By Jack H. Mydlo, Ciril J. Godec, 2003, Page 281; Joan and Sanford I Weill. C. Cornell Urology- Review Article 'Prostatectomy'